All of the following are true about bacteriophage EXCEPT:
1. It is a bacteria
2. It helps in transduction
3. It imparts toxigenicity by lysogenic conversion
4. It can cause drug resistance

Correct answer: 1. It is a bacteria

Explanation: * Bacteriophages are viruses that infect bacteria. It helps in transduction and not transformation.* It imparts toxigenicity by lysogenic conversion e.g. toxin production by diphtheria bacillus due to presence of prophage beta.* Penicillinase resistance in Staphylococcus is a classical example of plasmid mediated drug resistance transmitted by transduction or bacteriophage.* Transformation is bacterial gene transfer through the agency of free DNA as shown by Griffith in the experiments of Pneumococci with mice. Transformation plays no role in transfer of drug resistance.